19 year old boy had a history of fall on out stretched hand while playing. He developed slight radial side pain and tenderness. On examination pressure along the axis of thumb is painful and x rays are normal.
1. Fracture lower end radius
2. Wrist sprain
3. Scaphoid fracture
4. Perilunate dislocation

Correct answer: 3. Scaphoid fracture

Explanation: C i.e. Scaphoid fracture